The "water act" passed in 1974 deals with:
1. Provision of adequate drinking water
2. Prevention of water pollution
3. Provision of adequate irrigation water
4. Provision for digging of wells

Correct answer: 2. Prevention of water pollution

Explanation: The Act provides for the creation of the Central Pollution Control Board and State Pollution Control Boards. The main function of the Central Board is to promote cleanliness of streams and wells in the States. It also provides certain functions in the nature of advice, planning, co-ordination, publications, education and programmes for preventing, controlling and abating water pollution. The State Boards are expected not only to plan comprehensive programmes for the prevention and control of water pollution in the State but also to inspect sewage or trade effluents, works and plants for their treatment, to lay down standards for such effluents, their treatment and for the quality of receiving waters, and to make orders for waste disposal. Ref: Park, 21st Edition, Page 657.